Acid mucin is best demonstrated by the stain ?
1. Alcian blue
2. Periodic Acid Schiff (P.A.S.)
3. Van Gieson
4. Reticulin

Correct answer: 1. Alcian blue

Explanation: Ans. is 'a' i.e. Alacine blue